Therapeutic exposure is form of_______ therapy.
1. Psychoanalytical
2. Supportive
3. Cognitive
4. Behavioural

Correct answer: 4. Behavioural

Explanation: Ans. D. Behavioral.(Ref: Kaplan & Sadockfs Synopsis of Psychiatry, Xth/Ch.35.8, Page no, 954).Therapeutic exposure is form of Behavioral therapy.A behavioral therapist would most likely instruct the patient to change his/her behavior as an antecedent to recovery (such as exercising or another activity).No medication has proven to be effective in treating specific phobias. The Rx of choice for specific phobias is exposure, in vivo or using techniques of guided imagery, pairing relaxation exercises with exposure to the feared stimulus. The patient can be exposed to the feared stimulus gradually or can be asked to immediately confront the most anxiety- provoking situation (flooding).Discussion:LEARNING THEORY & BEHAVIORAL THERAPY# Goals = change behavior & think more accurately# Specific phobia: ex. dogs, flying, heights, snakes- Therapy* Behavioral - Exposure therapy6# Prolonged & frequent (6-10) sessions# Gradual exposure to stimulus# End when anxiety reduced- Learning principles* Conditioning (stimulus elicits maintained response)* Negative reinforcement (behavior repeated to avoid a negative emotion)* Habituation (fear eliminated by prolonged contact w/ phobic stimulus)# Social phobia: ex. public speaking; fear of being scrutinized by others- Therapy* Cognitive - Cognitive restructuring- Correct irrational thinking* Behavioral - Exposure therapy & social skills training# Social distance, eye contact, movement, content- Learning principles* Modeling (observe others)* Shaping (acquire behavior by reinforcement)* Positive reinforcement (behavior ? in frequency by reward)* Punishment (behavior ? in frequency)* Irrational thinking (inaccurate beliefs that others are scrutinizing)i. Psychoanalysis would also use the understanding of the patient and the recreation of the past through clarification, confrontation, and interpretation, but typically the patient comes to the office more frequently than once per week, and often, though not always, the patient lies on a couch facing away from the therapist.ii. An experiential-humanistic therapist would focus on developing a supportive and gratifying relationship with the patient to help provide the empathic responsiveness that was hypothesized as absent in the patient's past.iii. A cognitive therapy would most likely focus on the negative worldview of the patient and attempt to restructure those thoughts. Cognitive therapy is based on the principle that psychopathology derives from the patient's faulty, distorted beliefs about him- or herself and the world (schemas).